Dosage of Vitamin-A for children between 1-3 years
1. 5,00,000 IU
2. 2,00,000 IU
3. 1,00,000 IU
4. 3,00,000 IU

Correct answer: 2. 2,00,000 IU

Explanation: In settings where vitamin A deficiency is a public health problem** (prevalence of night blindness is 1% or higher in children 24-59 months of age or where the prevalence of vitamin A deficiency (serum retinol 0.70 umol/l or lower) is 20% or higher in infants and children 6-59 months of age), high-dose vitamin A supplementation is recommended in infants and children 6-59 months of age. Suggested vitamin A supplementation scheme for infants children 6-59 months of age Target group Infants 6-11 months of age (including HIV+) Children 12-59 months of age (including HIV+) Dose 100 000 IU (30 mg RE) vitamin A 200 000 IU (60 mg RE) vitamin A Frequency Once Every 4-6 months Route of administration Oral liquid, oil-based preparation of retinyl palmitate or retinyl acetatea Settings Populations where the prevalence of night blindness is 1% or higher in children 24-59 months of age or where the prevalence of vitamin A deficiency (serum retinol 0.70 mmol/l or lower) is 20% or higher in infants and children 6-59 months of age IU, international units; RE, retinol equivalent. a. An oil-based vitamin A solution can be delivered using soft gelatin capsules, as a single-dose dispenser or a graduated spoon (2). Consensus among manufacturers to use consistent colour coding for the different doses in soft gelatin capsules, namely red for the 200 000 IU capsules and blue for the 100 000 IU capsules, has led to much improved training and operational efficiencies in the field. Ref :